Which is never a cause of thyroglossal fistula ?
1. Infection of thyroglossal cyst
2. Inadequate removal of thyroglossal cyst
3. Congenital
4. None of the above

Correct answer: 3. Congenital

Explanation: Ans. is 'c' i.e., Congenital A thyroglossal duct cyst may rupture unexpectedly, resulting in a draining sinus known as a thyroglossal fistula. Thyroglossal fistula can develop when the removal of the cyst has not been fully completed. This is usually noticed when bleeding in the neck occurs, causing swelling and fluid ejection around the original wound of removal.